Most common malignancy found in Marjolins ulcer is -
1. BCC
2. SCC
3. Malignant fibrous histiocytoma
4. Malignant melanoma

Correct answer: 2. SCC

Explanation: Ans. is 'b' i.e., SCC o Malignancy arising in burn scar is k-'a Marjolin s ulcer. It is most commonly squamous cell ca, although basal cell carcinoma may also be seen.